Which of the following is not true about inertization?
1. Relatively inexpensive
2. It is done for pharmaceutical waste
3. It involves mixing the waste with cement before disposal
4. It causes water pollution

Correct answer: 4. It causes water pollution

Explanation: Ans. d. It causes water pollution (Ref: Park 23/e p792, 22/e p737)The process of 'inertization' involves mixing waste with cement and other substances before disposal, in order to minimize the risk of toxic substances contained in the wastes migrating into the surface water or ground water. It doesn't cause water pollution.InertizationThe process of 'inertization' involves mixing waste with cement and other substances before disposal, in order to minimize the risk of toxic substances contained in the wastes migrating into the surface water or ground water.A typical proportion of the mixture is: 65 per cent pharmaceutical waste, 15 per cent lime, 15 per cent cement and 5 per cent water.A homogeneous mass is formed and cubes or pellets are produced on site and then transported to suitable storage sites.AdvantageDisadvantage* Relatively inexpensive* Not applicable to infectious waste